According to Labyrinthine reflex, when head is tilted backwards it will cause the:
1. Back to stiffen or arch backwards
2. Legs straighten and push together
3. Arms to bend at elbows and hands to become fisted.
4. All of the above.

Correct answer: 4. All of the above.